All are used in nicotine de-addiction, except:
1. Bupropion
2. Clonidine
3. Nicotine gum
4. Buspirone

Correct answer: 4. Buspirone

Explanation: Ans. Buspirone